Atavistic epiphysis is seen in:
1. Trochanters of femur
2. Lower end of radius
3. Tubercles of humerus
4. Coracoid process of scapula

Correct answer: 4. Coracoid process of scapula

Explanation: Epiphysis: Bones end or tip, that ossifies from secondary centres are called epiphysis. There are four types of epiphysis. Pressure epiphysis, traction epiphysis aberrant epiphysis and atavistic epiphysis. Atavistic epiphysis is an independant bone which in man becomes fused to another bone. This type of epiphysis is seen in coracoid process of scapula and os trigonum.